Voissus ring is seen in:
1. Cornea
2. Retina
3. Anterior capsule
4. Posterior capsule

Correct answer: 3. Anterior capsule

Explanation: Anterior capsule